Ca prostate commonly metastasises to the vertebrae ?
1. Because valveless communication exist with Batson's periprostatic plexus
2. Via drainage to Sacral lymph node
3. Of direct Spread
4. None of above

Correct answer: 1. Because valveless communication exist with Batson's periprostatic plexus

Explanation: Ans. is 'a' i.e., Because valveless communication exist with Batson's periprostatic plexus